All of the following can be used in increased ICT except
1. Ketamine
2. Thiopentone
3. Acetazolamide
4. Mannitol

Correct answer: 1. Ketamine

Explanation: (A) Ketamine # Complications of Ketamine:> Hypertension, tachycardia> Emergence delirium, nightmares, hallucinations (less frequent with intramuscular injection, least in elderly and below 15 yrs.)> Salivation, Increased intracranial pressure; Prolonged recovery.> Allergic reactions - Transient erythema/Morbilliform rash> Respiratory depression (dose dependent injection to be slow).